Schistocytes are seen in:
1. Hereditary spherocytosis
2. Thalassemia
3. Microangiopathy
4. Sickle cell anemia

Correct answer: 3. Microangiopathy

Explanation: Ans. C i.e. Microangiopathy Cells and conditions Bite cells are seen in: G6PD deficiency Helmet cells are seen in: Hemolytic uremic syndrome Coombs positive Schistocytes are seen in: Acquired spherocytosis/microangiopathy Ring sideroblasts (iron granules in mitochondria around the nucleus) are seen in: Sideroblastic anemia 'Tear drop' poikilocytes are seen in: Myeloid metaplasia and Myelofibrosis Post splenectomy changes includes: Howell jolly bodies, Heinz bodies etc. Burr cells are seen in: Uremia Acanthocytes are seen in: Abetalipoproteinemia Macroploycytes are seen in: Megaloblastic anemia Hypersegmented neutrophils are seen in: Megaloblastic anemia Spur cells are seen in: Chronic livzer disease